Angiotensin II induced thirst is
1. Subfornical nuclei
2. Posterior hypothalamus osmoreceptors
3. Pretectal nucleus
4. All of the above

Correct answer: 1. Subfornical nuclei

Explanation: Angiotensin II stimulates thirst by acting on subfornical organ and OVLT (Organum vasculosum of the lamina terminalis).